The synthesis of one peptide bond involves hydrolysis of
1. 1 ATP & 3 GTP
2. 2 ATP & 2 GTP
3. 3 ATP & 1 GTP
4. 4 ATP

Correct answer: 2. 2 ATP & 2 GTP

Explanation: During the translation process, the formation of one peptide bond (adding one amino acid) consumes 4 high energy phosphates (2 from ATP & 2 from GTP). Eukaryotes will add 6 amino acids and prokaryotes will add 18 amino acids per second. (Refer: Harper's Illustrated Biochemistry, 26th edition, pg no: 370)